Main cause of failure of endodontic therapy:
1. Improper biomechanical preparation
2. Improper access cavity preparation
3. Incomplete obturation
4. Over extended filing

Correct answer: 3. Incomplete obturation